Disorientation occurs in
1. Schizophrenia
2. Organic Brain Syndrome
3. Depression
4. Mania

Correct answer: 2. Organic Brain Syndrome

Explanation: B i.e. Organic brain syndrome